One standard deviation in normal standard curev includes value-
1. 50%
2. 68%
3. 95%
4. 100%

Correct answer: 2. 68%

Explanation: Ref:Parks 23rd edition pg 849. 1SD : confidence limit = 68% 2SD : confidence limit = 95% 3SD : confidence limit = 99.7%